Cardiomyopathy may be seen in all of the following except :
1. Duchene muscular dystrophy
2. Friedrich's ataxia
3. Type II glycogen storage disease
4. Alkaptonuria

Correct answer: 4. Alkaptonuria

Explanation: Answer is D (Alkaptonuria) Friedreich's ataxia, Glycogen storage diseases and Muscular dystrophies are known to cause of cardiomyopathy. 11kantonuria hay not been mentioned to cause cardiomi'opathv. Primary myocardial involvement Idiopathic (D,R,H) Failmilial (D,R,H) Eosinophilic endomyocardial disease (R) Endomyocardial fibrosis (R) Secondary Myocardial involvement Infective (D) Connective tissue disorder (D) * Viral myocarditis * Systemic lupus erythematosus * Bacterial myocarditis * Polyarteritis nodosa * Fungal myocarditis * Rheumatoid arthritis * PRotozoal myocarditis * Progressive systemic sclerosis * Metazoal myocarditis * Dermatomyositis * Spirochetal Infiltratiions and granulomas (R,D) * Rickettsial * Amyloidosis Metabolic (D) * Sarcoidosis Familial storage disease (D,R) * Malignancy * Glycogen storage disease Neuromuscular (D) * Mucopolysaccharidoses * Muscular dystrophy * Hemochromatosis * Myotonic dystrophy * Fabry's disease * Friedreich's ataxia (H,D) Deficiency (D) Sensitivity and toxic reactions (D) * Electrolytes * Alcohol * Nutritional * Radiation * Drugs Peripartum heart disease (D)